Drugs which increase the level of theophylline include :
1. Ciprofloxacin
2. Cimetidine
3. Allopurinol
4. All of these

Correct answer: 4. All of these

Explanation: Drugs which inhibit theophylline metabolism and increase its plasma level are:


Erythromycin
Ciprofloxacin
Cimetidine
OCP
Allopurinol


Agents which induce theophylline metabolism and decrease its plasma level are :


Smoking
Phenytoin
Rifampicin
Phenobarbitone